Extra energy, needed per day during pregnancy –
1. 150 Kcal
2. 200 Kcal
3. 300 Kcal
4. 350 Kcal

Correct answer: 4. 350 Kcal